Eruption of 1st molar permanent tooth occurs at the age of
1. 4-5 yrs
2. 6-7 yrs
3. 7-8 yrs
4. 8-10 yrs

Correct answer: 2. 6-7 yrs

Explanation: Eruption of permanent molar teeth: First molar( upper jaw) - 6-7 yrs First molar ( lower jaw) -. 6-7 yrs Second molar (upper jaw)- 12-13yrs Second molar(lower jaw)-11-13yrs Third molar(upper jaw)-17-21yrs Third molar(lower jaw)-. 17-21yrs Hence, the eruption of first molar permanent tooth is at the age of 6-7 yrs. Ref: Ghai, 9th edition- Pg-11.